Direct filling gold formed by electrolytic precipitation is called by all the terms, EXCEPT:
1. Crystalline gold
2. Granular gold
3. Mat gold
4. Sponge gold

Correct answer: 2. Granular gold

Explanation: Electrolytic Precipitate Gold
Another form of direct filling gold is microcrystalline gold powder formed by electrolytic precipitation, which is sandwiched between sheets of gold foil and formed into strips. It is also called mat or sponge gold.
Granular (Powdered) Gold
Gold powders in agglomerated form can also be prepared by chemical precipitation or atomization from molten gold.
Direct filling gold is supplied in three basic forms:

Foil (also known as fibrous gold)
Electrolytic precipitate (also called crystalline gold)
Granular gold (also called powdered gold)

Phillips 12 Ed, page no. 413